A 45 year old male presented to emergency with complaint of chest pain associated with swallowing a piece of meat. He reports similar episodes over the past 3 years. But today's episode was the most severe. He doesn't give a history of regurgitation other than these episodes or heartburn symptoms. There is no difficulty in liquid intake and has not had any weight loss. Probable diagnosis in this case is?
1. Schatzki ring
2. Adenocarcinoma of the esophagus
3. Achalasia
4. Plummer-Vinson syndrome

Correct answer: 1. Schatzki ring

Explanation: B ring is a thin membranous narrow part present at the squamocolumnar mucosal junction. Present in about 10-15% people & mostly asymptomatic Schatzki rings:- When lumen diameter is <13mm Associated with Episodic Solid food dysphagia (Classical symptom) Typical age of presentation is >40 years This intermittent food impaction is also known as "Steakhouse syndrome", As meat is a typical initiator. T/t:- Dilation Plummer-Vinson syndrome:- It also involves esophageal webs, but the webs occur in proximal part of esophagus Associated with iron deficiency anemia More common in middle aged female Achalasia:- Involves both solid and liquid dysphagia + regurgitation Adenocarcinoma:- At late stages, it includes solid and liquid dysphagia.